Deficiency of enzyme a-keto acid decarboxylase leading to a block in the metabolism of branch chain amino acids is observed in
1. Maple syrup urine disease
2. Hartnup's disease
3. Alkaptonuria
4. Phenylketonuria

Correct answer: 1. Maple syrup urine disease

Explanation: Maple syrup urine disease(MSUD) is due to increased activity of branched chain alpha ketoacid dehydrogenase(BCKAD) complex,a mitochondrial enzyme involved in degradation of branched chain amino acids(leucine,isoleucine, and valine).This enzyme has 4 subunits:E1alpha,E1beta,E2 and E3. Reference:Essential pediatrics-Ghai,8th edition,page no:652